Which among the following has lowest protein content
1. Human milk
2. Goat milk
3. Cow milk
4. Buffalo milk

Correct answer: 1. Human milk

Explanation: Ans) a (Hitman milk) Ref Park 20th ed p545This is a table from which atleast one question will be there in every kerala entrance exam. BuffaloCowGoatHumanFat(g)6.54.14.53.4Protein(g)4.33.23.31.1Lactose(g)5.14.44.67.4Cakiunm (mg)21012017028Iron (mg)0.20.20.3-VitC(mg)1213Minerals (g)0.80.80.80.1Water818786.888Energy117677265Human milk contains the least protein among the given options.